Tonography is useful in:
1. Total facility of aqueous outflow
2. Reflecting the uveo scleral outflow of aqueous
3. Monitoring the IOP in different states
4. Detecting the formation of aqueous humour

Correct answer: 1. Total facility of aqueous outflow

Explanation: Tonography - is a noninvasive technique for determining the facility of aqueous outflow Tonometry - is the assessment of the IOP of the eye and is one of the pillar stones of diagnosis of glaucoma